The normal growth of the human eye includes all except
1. A 4 mm increase in axial length in first 6 months of life
2. A corneal diameter of 10.5 mm at birth, 12mm by age 2
3. An increase in corneal power in first 6 months
4. Dramatic decrease in lens power in first one year

Correct answer: 3. An increase in corneal power in first 6 months

Explanation: The average corneal power at birth is 47.5 D which decreases gradually to adult value of 42.5 D . Thus the corneal power decreases in first 6 months. All other statements are correct.